The content of thought in olfactory reference syndrome is:
1. Erotic
2. Infedelity
3. Love
4. Foul odour

Correct answer: 4. Foul odour

Explanation: D i.e. Foul odour